Esophageal opening in diaphragm is at the level of
1. T8
2. T10
3. T12
4. T6

Correct answer: 2. T10

Explanation: Oesophagus pierces diaphragm at level of tenth thoracic vertebrae. BD CHAURASIA'S HUMAN ANATOMY VOLUME 1. 6TH EDITION Page no- 282